X-rays are formed when electrons hit:
1. Water
2. Anode
3. Radium source
4. None of the above

Correct answer: 2. Anode

Explanation: Ans. Anode